Increased BP & decreased heart rate is seen in -
1. Hemorrhage
2. High altitude
3. Raised intracranial pressure
4. Anemia

Correct answer: 3. Raised intracranial pressure

Explanation: Ans. is 'c' i.e., Raised intracranial pressure o When intracranial pressure is increased, the blood supply to RVLM neurons is compromised, and the local hypoxia and hypercapnia increase their discharge.o The resultant rise in systemic arterial pressure (Cushing reflex) tends to restore the blood flow to the medulla and over a considerable range, the blood pressure rise is proportional to the increase in intracranial pressure,o The rise in blood pressure causes a reflex decrease in heart rate via the arterial baroreceptors.o This is w-hy bradycardia rather than tachycardia is characteristically seen in patients with increased intracranial pressure.o Cushing reflex consists of hypertension, bradyacardia and tachvpnoea.o All other options cause a reflex increase in heart rate.